In a female child at birth, oocyte is in a stage of
1. Anaphase of the first meiotic division
2. Prophase of the first meiotic division
3. Anaphase of the second meiotic division
4. Prophase of the second meiotic division

Correct answer: 2. Prophase of the first meiotic division

Explanation: Inderbir Singh's Human embryology; Tenth edition; Pg 24At the time of birth, all primary oocytes are in the prophase of the first meiotic division.